Tolvaptan is used for:-
1. SIADH
2. Central DI
3. Von Wilebrand disease
4. Catecholamine resistant Shock

Correct answer: 1. SIADH

Explanation: In SIADH, ADH increases so more activation of V2 receptor, so more water absorption. The patients suffer from dilutional hyponatremia. Option B: Managed by Desmopressin / Nasal spray Option C: Managed by Cryoprecipitate / VW Factor Option D: No definitive treatment, patient dies more often